Spirometry can measure following except
1. Tidal volume
2. Residual volume
3. Vital capacity
4. Expiratory Reserve Volume

Correct answer: 2. Residual volume

Explanation: Ans. b (Residual volume) (Ref. H-17th/1586; H-17th/ 1587; Ganong ed 28th/p. 593)Lung volumes that can be measured with spirometer = VC, ERV, ICLung volumes that cannot be measured with spirometer = RV, FRC, & TLC.SPIROMETRY# Spirometer is a device capable of measuring expired or inspired gas volume while plotting volume as a function of time.# The volume expelled by an active respiratory effort after passive expiration is the expiratory reserve volume,# Air left in the lungs after the maximal expiratory effort is the residual volume.# VC, expiratory reserve volume (ERV), and inspiratory capacity (IC) are measured by having the patient breathe into and out of a spirometer.# Other volumes--specifically, RV. FRC. and TLC--cannot be measured by spirometer as they include the volume of gas present in the lungs even after a maximal expiration.# Two techniques are commonly used to measure these volumes: helium dilution and body plethysmography.